Follicles are present in which part of lymph nodes
1. Red pulp
2. White pulp
3. Cortex
4. Medulla

Correct answer: 3. Cortex

Explanation: The outer cortex consists mainly of the B cells arranged as follicles,INDERBIR SINGH'S TEXTBOOK OF HUMAN HISTOLOGY-PAGE NO:132